The growth pattern of a population with an annual growth rate of 1.5% to 2.0% is
1. Slow growth
2. Moderate growth
3. Rapid growth
4. Very rapid growth

Correct answer: 4. Very rapid growth

Explanation: When crude death rate is substracted from crude birth rate ,the net residual is current annual grow rate , exclusive of migration. If the annual growth rate is increased from 1.5% to 2.0%, then it is rated as very rapid growth. Reference : Park's textbook of preventive and social medicine, 23rd edition, Pg no:481, table5